Coenzyme in carboxylation reactions:
1. Pyridoxine
2. Thiamine
3. Biotin
4. Cyanocobalamin

Correct answer: 3. Biotin

Explanation: Biotin/ Vitamin H/ Coenzyme RIt is a water-soluble B-vitamin (vitamin B7).It is composed of a ureido (tetrahydroimidizalone) ring fused with a tetrahydrothiophene ring.A valeric acid substituent is attached to one of the carbon atoms of the tetrahydrothiophene ring.Biotin is a coenzyme for carboxylase enzymes, involved in the synthesis of fatty acids, isoleucine, and valine, and in gluconeogenesis.